IL1 antagonist is ?
1. Anakinra
2. Abatacept
3. Adalimumab
4. Leflunomide

Correct answer: 1. Anakinra

Explanation: Ans. is 'a' i.e., Anakinra